All of the following are features of the large intestine, except -
1. Large intestine secretes acidic mucus which helps in formation of stools
2. It is a site of mucocutaneous junction
3. Its epithelium contains goblets cells in large numbers
4. Absorbs salt and water

Correct answer: 1. Large intestine secretes acidic mucus which helps in formation of stools

Explanation: Secretions of the large intestine are alkali, not acidic.
Large intestine extends from ileocaecal junction to the anus (site for mucocutaneous junction).
Although epithelium of large intestine is absorptive villi are absent.
Adequate lubrication for passage of contents is provided by mucin-secreting goblet cells.
The large intestine absorbs salt and water.